Extra Mammary Paget's disease is associated with which other cancer:
1. Vulva
2. Vagina
3. Cervix
4. Uterus

Correct answer: 1. Vulva

Explanation: Extra Mammary Paget's disease is associated with Vulva cancer Occurs in a postmenopausal woman as a sharply demarcated and slightly elevated white indurated or eczematous lesion Adenocarcinomas of the vulva usually arise in a Bartholin gland or occur in association with Paget disease. The treatment is local excision or vulvectomy if no underlying lesion is detected. With underlying lesion, treatment is as of invasive cancer. Radiotherapy is employed for women unfit for surgery but prolonged follow-up for recurrence is obligatory. Local and systemic 5FU and bleomycin is also tried.